Maximum cholesterol is seen in -
1. VLDL
2. LDL
3. HDL
4. Chylomicrons

Correct answer: 2. LDL

Explanation: Ans. is 'b' i.e., LDL o Maximum triglyceride content-Chylomicronso Maximum exogenous triglyceride-Chylomicronso Maximum endogenous triglyceride-VLDLo Maximum cholesterol content-LDLo Maximum amount of lipid is present in chylomicrons Composition of plasma lipoproteins ChylomicronVLDLLDLHDL1. Particle mass (kD)400,00010000-80,0002300175-3602. Density (g\cm3)<0.950.95-1.0061.018-1.0631.063-12213. Diameter (A)1000-10,000300-700150-25075-1004. ApolipoproteinsA, B, C, EB, C,EBA, C, D, E5. Components (% dry weight) Apolipoproteins Triacylglycerols Cholesterol Phospholipidsl. 5-2.584-894-87-95-1050-6515-2315-2020-257-1040-5015-2040-553-515-1820-35